Which of the following is a symptom of hypothyroidism?
1. Hyperactivity
2. Palpitation
3. Diarrhoea
4. Hair loss

Correct answer: 4. Hair loss

Explanation: First 3 are features of hyperthyroidism ; alopecia is the feature of hypothyroidism.